Dinitrophenol causes:
1. Inhibition of ATP synthase
2. Inhibition of electron transport
3. Uncoupling of oxidation and phosphorylation
4. Accumulation of ATP

Correct answer: 3. Uncoupling of oxidation and phosphorylation

Explanation: Ans. C. Uncoupling of oxidation and phosphorylationDinitrophenol uncouples oxidation and phosphorylation in the respiratory chain. The hydrogen ions reenter the mitochondrial matrix without ATP synthesis. The energy is released as heat.